Fibres least susceptible to pressure are:
1. A
2. B
3. C
4. D

Correct answer: 3. C

Explanation: Relative susceptibility of mammalian A, B and C nerve fibers to conduction block produced by various agents: